Most common parotid tumor -
1. Pleomorphic adenoma
2. Adenocystic carcinoma
3. Epidermoid tumor
4. Adenocarcinoma

Correct answer: 1. Pleomorphic adenoma

Explanation: Ans. is 'a' i.e., Pleomorphic adenoma o Most common salivary gland tumor-Pleomorphic adenoma (mixedo Most Common benign Salivary gland tumor-Pleomorphic adenoma (mixedo Most Common malignant tumor of salivary gland-Mucoepidermod Carcinomao Most Common site of pleomorphic adenoma-Parotid gland.o Most Common site of mucoepidermoid Carcinoma-Parotid gland.o Most Common site for acinic cell ca-Parotid gland.o Most Common site for adenoid cytic Carcinoma-Minor salivary glands.o Multifocal and bilateral Salivary gland tumor-Warthin tumor and acinic cell tumor.o Salivary gland tumor with tendency to invade-Adenoid cystic carcinoma,perineural space